Acidosis is commonly seen in severely uncontrolled diabetes mellitus due to excessive production of
1. Acetoacetic acid
2. Carbonic acid
3. Beta hydroxybutyric acid
4. Both 1 and 3

Correct answer: 4. Both 1 and 3